Ramesh 40 yrs male patient presenting with polyuria, pain abdomen, nausea, vomitting, altered sensorium was found to have bronchogenic carcinoma. The electrolyte abnormality seen in him would be -
1. Hypokalemia
2. Hyperkalemia
3. Hypocalcaemia
4. Hypercalcemia

Correct answer: 4. Hypercalcemia